Visual Area is supplied by:
1. Anterior Cerebral Artery
2. Middle Cerebral Artery
3. Posterior Cerebral Artery
4. Vertebral Artery

Correct answer: 3. Posterior Cerebral Artery

Explanation: Ans. C. Posterior Cerebral ArteryThe visual cortex of the brain is that part of the cerebral cortex which processes visual information. It is located in the occipital lobe. Visual nerves run straight from the eye to the primary visual cortex to the Visual Association cortex. The primary visual cortex (V1) is located in and around the calcarine fissure in the occipital lobe. Each hemisphere's visual cortex receives information directly from its ipsilateral lateral geniculate nucleus that receives signals from the contralateral visual hemifield.The visual cortex receives its blood supply primarily from the calcarine branch of the posterior cerebral artery,